Overingestion of fructose leads to ?
1. Hypertriglycreidemia
2. Hypouricemia
3. Hyperphosphatemia
4. Hypoglycemia

Correct answer: 1. Hypertriglycreidemia

Explanation: Ans. is 'a' i.e.,HypertriglycreidemiaAs Fructokinase is very active, following fructose ingestion, there is increased utilization of ATP forming more ADP and AMP. AMP on catabolism gives rise to uric acid. Hence it results in hyperuricemia.A person who is on fructose based diet ends up getting hypertriglyceridemia and hypercholesterolemia.